Desmopressin is preferred over vasopressin because desmopressin has all the properties except -
1. More potent
2. More selective for VI receptor
3. Has little vasconstrictor activity
4. Longer acting

Correct answer: 2. More selective for VI receptor

Explanation: Ans. is 'b' i.e., More selective for VI receptorVasopressin Vs. Desmopressino Major indication of ADH (vasopressin) is central DI.o But use of vasopressin is limited because :It has short half lifeAction is nonspecific, i.e. act on both VI and V2 receptors (VI mediated vasconstriction can cause hypertension)o These shortcomings can be overcome by desmopressini) Desmopressin is longer actingii) Desmopressin is V2 selective - So VI mediated vasoconstriction.Desmopressin is 12 times more potent than vasopressin.